Which of the following is NOT derived from 1st pharyngeal pouch:
1. Middle ear
2. Eustachean tube
3. Tympanic membrane
4. Palatine tonsils

Correct answer: 4. Palatine tonsils

Explanation: Ans. (d) Palatine tonsilsRef. LB. Singh 9th ed. /1118; Fundamental Anatomy By Walter Carl Hartwig /185* First pharyngeal pouch is located between 1st and 2nd pharyngeal arch* Palatine tonsil is a derivative of 2nd pharyngeal pouch* Eustachean tube, Middle ear, mastoid antrum and tympanic membrane is derived from 1st pharyngeal pouch.